Which of the following are features of pulmonary oxygen toxicity ?
1. Increased capillary endothelial permeability
2. Decreased mucociliary1 transport in airways
3. Inhibition of phagocytosis function of alveolar macrophages
4. All the above

Correct answer: 4. All the above

Explanation: Ans. is 'd' i.e., All the above o Prolonged inhalation of high concentration of O2 is known to damage the lungs,o Pulmonary toxicity of O2 is related to the oxygen tension in alveoli.The pulmonary oxygen toxicitv has the following featureso Increased capillary endothelial permeability causing accumulation of fluid in the interstitial space,o Depression of mucociliary transport function of airwayo Inhibition of phagocytosis of alveolar macrophageso Changes in the surfactant activity and its production